Not an intravenous anaesthetic
1. Etomidate
2. Thiopentone
3. Ketamine
4. Cyclopropane

Correct answer: 4. Cyclopropane

Explanation: Ans. is 'd' i.e., Cyclopropane